Which one of the following stromal dystrophy is a recessive condition?
1. Lattice dystrophy
2. Granular dystrophy
3. Macular dystrophy
4. Fleck dystrophy

Correct answer: 3. Macular dystrophy

Explanation: Inheritance of some important corneal dystrophies

Autosomal dominant:- Meesmann dystrophy, Reis-Buckler dystrophy, Lattice dystrophy, Granular dystrophy, Avellino dystrophy, Fleck dystrophy.
Autosomal recessive:- Macular dystrophy, Lattice type 3